Ouchterlony procedure is a immunodiffusion by
1. Single diffusion in one dimension
2. Double diffusion in one dimension
3. Single diffusion in two dimensions
4. Double diffusion in two dimensions

Correct answer: 4. Double diffusion in two dimensions

Explanation: Single diffusion in one dimension - Oudin procedure
Double diffusion in one dimension - Oakley fulthorpe procedure
Single diffusion in two dimensions - Radial immunodiffusion
Double diffusion in two dimensions - Ouchterlony procedure